Cranial patch for Parkinsons disease is?
1. Levodopa
2. Rotigotine
3. Apomorphine
4. Arantil

Correct answer: 2. Rotigotine

Explanation: Ans. is 'b' i.e., Rotigotine RotigotineIt is a dopamine analogue that was approved for treatment of early parldnson9s disease in 2007 by F.D.A.It was recalled in 2008 because of crystal formation."Rotigotine is used as a transdermal patch".It is available in EuropeIt is once a daily patch that is usually started at 2mg/24 hours and titrated weekly by increasing the patch size in 2mg/24 hour increments to a dose of 6 mg/24 hours.In America it has been withdrawnIn the United States, transdermal rotigotine was recalled in April 2008 because of the formation of rotigotine crystals in the patches.This is not a safety issueRather the crystals reduce delivery of a drug with proven efficacy. Thus new patients in US should not be started on rotigotine and patients currently using rotigotine in the U.S. should be slowly tapered off the drug.Rotigotine should not be stopped abruptly because sudden withdrawal of Dopaminergic agonists has been associated with a syndrome resembling neurolept malignant syndrome.